Guthrie test can be used for the diagnosis of –
1. Tyrosinemia
2. Galactosemia
3. Alkaptonuria
4. Phenylketonuria

Correct answer: 4. Phenylketonuria